True about C. jejuni
1. Gram-positive bacillus
2. Symptoms may initially mimic cholecystitis
3. Most often occurs several days after consumption of undercooked chicken.
4. Penicillin in drug of choice

Correct answer: 3. Most often occurs several days after consumption of undercooked chicken.

Explanation: Campylobacter species are small motile, non-spore-forming, comma-shaped, gramnegative bacilli, best grown in a microaerophilic environment at 42degC (107.6degF).C. jejuni gastroenteritis is usually self-limited; however, if necessary, erythromycin is the drug of choice.Campylobacter infection most often occurs several days (upto 7 d) after consumption of undercooked chicken.Symptom of fever and abdominal pain may initially mimic appendicitis/ pseudoappendicitis.Guillain-Barre is a rare neurological complication of C. jejuni gastroenteritis.